Which of the following is an intermediate-acting insulin
1. Lispro
2. Regular insulin
3. NPH insulin
4. Glargine

Correct answer: 3. NPH insulin

Explanation: NPH and protamine insulin are intermediate-acting insulins REF KD Tripathi 8th ed.